Fetal Hydantoin Syndrome is caused by:
1. Phenytoin
2. Alcohol
3. Tetracycline
4. Sodium valproate

Correct answer: 1. Phenytoin

Explanation: Use of phenytoin in pregnancy can result in fetal hydantoin syndrome. It is charecterized by the presence of hypoplastic phalanges, cleft lip, cleft palate and microcephaly. Ref: Essentials of Medical Pharmacology By KD Tripathi, 5th Edition, Page 372, 374, 672; Management of Genetic Syndromes By Suzanne B. Cassidy, Judith E. Allanson.